A nullipara presentong with abnormal vaginal bleeding is found to have abnormal endometrial histological findings. Which of the following is NOT a risk factor of uterine carcinoma?
1. Endometrial hyperplasia
2. Late onset of menarche
3. Obesity
4. Tamoxifen

Correct answer: 2. Late onset of menarche

Explanation: Risk factors for development of Endometrial cancer: Obesity Polycystic ovarian syndrome Long-term use of high-dose menopausal estrogens Early age of menarche Late age of natural menopause History of infertility Nulliparity Menstrual irregularities White race Older age High cumulative doses of tamoxifen History of diabetes, hypertension, or gallbladder disease Long-term use of high-dose combination oral contraceptives (COCs) Cigarette smoking Ref: Hoffman B.L., Schorge J.O., Schaffer J.I., Halvorson L.M., Bradshaw K.D., Cunningham F.G., Calver L.E. (2012). Chapter 33. Endometrial Cancer. In B.L. Hoffman, J.O. Schorge, J.I. Schaffer, L.M. Halvorson, K.D. Bradshaw, F.G. Cunningham, L.E. Calver (Eds), Williams Gynecology, 2e.